Which of the following vessels do not carry deoxygenated blood in fetal circulation?
1. Pulmonary Artery
2. Umbilical Artery
3. Umbilical Vein
4. Pulmonary Vein

Correct answer: 3. Umbilical Vein

Explanation: The oxygenated blood reaches fetus through single umbilical vein. This vein contain oxygenated blood transverse umbilical cord to reach the liver. The oxygenated blood bypasses the liver ductus venosus to join inferior vena cava. REF: BD CHAURASIAS Human anatomy Sixth edition Volume 1 Page no 268